Basic defect in HbS is -
1. Altered function
2. Altered solubility
3. Altered stability
4. Altered O2 binding capacity

Correct answer: 2. Altered solubility